The erectile disorder in males is more specifically treated with which of the following agents ?
1. Sildenafil
2. Diazepam
3. Fluoxetine
4. Zolpidem

Correct answer: 1. Sildenafil

Explanation: Ans. is 'a' i.e., Sildenafil o Sildenafil, vardenafil and tadalafil are phosphodiesterase V inhibitors indicated for erectile dysfunction.